Least common ion in EOF is
1. Na
2. K+
3. CI
4. HCO3

Correct answer: 2. K+

Explanation: Predominent ions in ECF are Na+ and Cl-predominent ions in ICF are K+ ,Mg+,phosphate Table1.3.3 of Textbook of physiology AK Jain 4th edition page no.27.